Disulfiram is useful in:
1. Alcohol dependence
2. Heroin dependence
3. Cocaine dependence
4. Cannabis dependence

Correct answer: 1. Alcohol dependence

Explanation: Ans. Alcohol dependence